Bleeding time is prolonged in:
1. Von willibrand's disease
2. Christmas disease
3. Haemophilia
4. Polycythemia

Correct answer: 1. Von willibrand's disease